The side effect of phenytoin when its plasma concentration is above therapeutic level is :
1. Ataxia
2. Gum hypertrophy
3. Osteomalacia
4. Hirsutism

Correct answer: 1. Ataxia